The casting shrinkage in gold alloys is maximum in
1. Class II MOD inlays
2. Large class V restoration
3. Class II MO Restoration
4. Class 1 inlay

Correct answer: 2. Large class V restoration